Which of the following is not helpful in diagnosis of tubal mass in ectopic pregnancy
1. Beta-HCG estimation
2. Hysterosalpingography
3. Transvaginal ultrasound
4. Pelvic examination

Correct answer: 2. Hysterosalpingography

Explanation: Ans. b. Hysterosalpingography